A 56 year old Type II diabetic presents with complaints of swelling in the left ankle with effusion but only minimal pain. X-rays show severe osteopenia with bone destruction, extensive osteophytosis and loose bodies. The management of this patient includes all the following except:
1. Resting and Splinting
2. Aspiration and Compression bandage
3. Total Ankle Replacement
4. Ankle arthrodesis

Correct answer: 3. Total Ankle Replacement

Explanation: Swelling in the ankle with effusion, minimal pain together with the given x-ray findings suggests the diagnosis of neuropathic joint disease or charcot's joint. Total ankle replacement is an absolute contraindication in the management of charcot's joint. Ref: Total Ankle Arthroplasty By Hintermann, 2005, Page 92; Apley's System of Orthopaedics and Fractures By Louis Solomon, 9th Edition, Chapter 5, Pages 98, 99